Altered taste sensation is caused by-
1. Pefloxacin
2. Rifampicin
3. Ciprofloxacin
4. Captopril

Correct answer: 4. Captopril

Explanation: Ans. is 'd' i.e., Captopril Adverse effects of ACE inhibitor Hypotension Cough Angioedma Teratogenecity Acute renal failure Hyperkalemia Rashes, Urticaria Dysguesia Granulocytopenia o Dysguesia is reversible loss or alteration of taste sensations. Cough and angioedema are due to elevated bradykinin, caused by inhibition of bradykinithubstance P metabolism in lungs.